Which among the following is a tensor of vocal cords
1. Cricothyroid
2. Lateral cricoarytenoid
3. Thyroarytenoids
4. Posterior cricoarytenoids

Correct answer: 1. Cricothyroid

Explanation: Muscles of Larynx Action Muscle Opening of inlet of larynx Thyroepiglotticus Closing of inlet of larynx Aryepiglotticus, inter arytenoids Abductor of vocal cords Posterior cricoarytenoid Adductor of vocal cords Lateral cricoarytenoid Tensor of vocal cords Cricothyroid Relaxer of vocal cords Thyroarytenoid Modulator of vocal cords Vocalis Ref: Gray's Anatomy 41st edition Pgno: 597